"Cobblestone" appearance seen on colonoscope is cheracteristic of the following disease
1. Crohn's disease
2. Ulcerative colitis
3. TB colitis
4. Irritable bowel syndrome

Correct answer: 1. Crohn's disease

Explanation: .in crohn's disease,Fibrosis, stricture formation, deep ulcers, oedema of mucosa between ulcer areas which looks like 'cobble stone', skipped normal areas in between, serosal opacity, mesen-teric fat stranding, enlarged mesenteric lymph nodes, abscesses in the mesentery, fistula are the pathology. Small mucosal aphthous ulcers are earliest gross feature. ref:SRB's manual of surgery,ed 3,pg no 800